All of the following peptides produce vasodilation in most vascular beds EXCEPT
1. Endothelin
2. Bradykinin
3. Vasoactive intestinal peptide
4. Calcitonin gene-related peptide

Correct answer: 1. Endothelin

Explanation: Endothelin is a potent vasoconstrictor peptide produced by vascular endothelial cells. Other vasoconstrictor pep tides include angiotensin H, neuropeptide Y, and vasopressin. Bradykinin, vasoactive intestinal peptide, calcitonin gene-related peptide, and substance P cause vasodilation in most vascular beds. Other vasodilator peptides include atrial natriuretic peptide and neurotensin.